An agent that activates natural killer cells and is useful in renal cell carcinoma is
1. Aldesleukin
2. Etanercept
3. Leflunomide
4. Thalidomide

Correct answer: 1. Aldesleukin

Explanation: Ref-Katzung 10/e p816 Recombinant IL-2 is used for the treatment of maligant melanoma and renal cell carcinoma